The complex process of leukocyte movements through the blood vessels are all EXCEPT -
1. Rolling
2. Adhesion
3. Migration
4. Phagocytosis

Correct answer: 4. Phagocytosis

Explanation: Ans. is 'd' i.e., Phagocytosis